Which of the following is true for phosphofructokinase
1. It uses fructose 1, 6 bisphosphate as substrate
2. It generates ATP
3. It catalyses an irreversible reaction in glycolysis
4. It is activated by increased levels of ATP and citrate

Correct answer: 3. It catalyses an irreversible reaction in glycolysis

Explanation: Phosphofructokinase catalyses the first committed step of glycolysis. It is the rate limiting enzyme of glycolysis. The reaction is irreversible.